Hess hunt scale is used in:
1. Extradural hemorrhage
2. Anterior cranial fracture
3. Posterior cranial fracture
4. Subarachnoid hemorrhage

Correct answer: 4. Subarachnoid hemorrhage

Explanation: Hess hunt scale is used to grade the severity of subarachnoid hemorrhage.